In pernicious anemia, antibody is formed against
1. G cell
2. Parietal cell
3. Stem cell
4. All

Correct answer: 2. Parietal cell

Explanation: Reference Robbin's 9th/765 Parietal cell antibodies are autoantibodies, proteins produced by the immune systemthat mistakenly target a type of specialized cells that line the stomach wall. This test detects these antibodies in the blood to help diagnose pernicious anemia. Pernicious anemia is an autoimmune condition that can occur when the body's immune system targets its own tissues and develops antibodies directed against the parietal cells and/or ...